The parasympathetic secretomotor nerve supply to the nose is
1. Anterior ethmoid nerve
2. Greater palatine nerve
3. Vidian nerve
4. Inferior orbital nerve

Correct answer: 3. Vidian nerve

Explanation: The nerve of the pterygoid canal passes through the pterygoid canal to reach the pterygopalatine ganglion. The parasympathetic fibres relay in this ganglion. Postganglion are parasympathetic fibres arising in the ganglion ultimately supply the lacrimal gland and the mucosal glands of the nose, palate, and pharynx. The gustatory or taste fibres do not relay in the ganglion and are distributed to the palate. Ref: BD Chaurasia's HUMAN ANATOMY, Volume 3, 4th edition.